Kayser flescher ring is seen in ?
1. Siderosis
2. Chalcosis
3. Open angle glaucoma
4. Chemical injuries

Correct answer: 2. Chalcosis

Explanation: Ans. is 'b' i.e., Chalcosis Chalcosis It refers to the specific changes produced by the alloy of copper in the eye. Mechanism. Copper ions from the alloy are dissociated electrolytically and deposited under the membranous structures of the eye. Unlike iron ions these do not enter into a chemical combination with the proteins of the cells and thus produce no degenerative changes. Clinical manifestations Kayser-Fleischer ring : It is a golden brown ring which occurs due to deposition of copper under peripheral parts of the Descemet's membrane of the cornea. Sunflower cataract : It is produced by deposition of copper under the posterior capsule of the lens. It is brilliant golden green in colour and arranged like the petals of a sun flower. Retina : It may show deposition of golden plaques at the posterior pole which reflect the light with a metallic sheen.